Under the Prevention of Food Adulteration (PFA) Act, the expected level of iodine in iodized salt at production level is NOT less than –
1. 30 ppm
2. 25 ppm
3. 20 ppm
4. 15 ppm

Correct answer: 1. 30 ppm